Most important primary care in Faciomaxillary trauma is to:
1. Asses the level of consciousness
2. Ensure adequate airway
3. Look for CNS injury
4. Immediate fracture reduction

Correct answer: 2. Ensure adequate airway

Explanation: (b) Ensure adequate airway(Ref. Cummings, 6th ed., 498)In any patient of craniofacial trauma it is critically important to follow the ABC of trauma, i.e.A - Airway managementB - BreathingC - Circulation